True about dermoid cyst of ovary:a) It is teratomab) Frequently undergo torsionc) X-ray is diagnosticd) Invariably turns to malignancye) Contains sebaceous material and hairs
1. bcde
2. abce
3. acde
4. abde

Correct answer: 2. abce

Explanation: Dermoid cyst: Dermoid cyst is a benign teratoma.
– It is most common benign tumour of ovary in reproductive age group.
– Most common benign neoplasm diagnosed during pregnancy.
Most common Germ cell tumor.
It is the commonest tumor to undergo torsion.
– Characteristically they are unilocular cyst containing hair and cheesy sebaceous material, teeth, bones, thyroid tissue and cartilage.
– If teeth or bone are seen in X-ray in adnexal mass, this finding is pathognomic for teratoma and thus X-ray is diagnostic.
– Malignant change in a dermoid cyst occurs in 0.5 – 2% cases in patients > 40 years. Most common malignancy which develops is, squamous cell carcinoma.